Tissue transplanted from one individual to another is called as -
1. Autograft
2. Allograft
3. Isograft
4. Xenograft

Correct answer: 2. Allograft

Explanation: Ans. is 'b' i.e., Allograft Transplantation terminologyAutograft:tissue transplanted from one part of the body to another in the same individual. Also called an autotransplant.Isograft:is a graft of tissue between two individuals who are genetically identical (i.e. monozygotic twins). Transplant rejection between two such individuals virtually never occurs.Allograft:an organ or tissue transplanted from one individual to another.Xenograft:a transplant performed between different species.Orthotopic graft:a graft placed in its normal anatomical site.Hetertopic graft:a graft placed in a site different from that where the organ is normally located.